Low renin vials seen In A/E-
1. Essential hypertension
2. Conn's syndrome
3. Renovascular hypertension
4. Liddle syndrome

Correct answer: 3. Renovascular hypertension

Explanation: Hypervolemia leads to low plasma renin. Low renin measurements differentiate primary from secondary, hyperreninemic forms of hyperaldosteronism seen in renovascular hypertension, coarctation of the aorta, renin-secreting neoplasms, or diuretic therapy Ref Davidson 23rd edition pg 486